What is the fastest, safest and most effective to sterilize a metal impression tray with a solder that melts at a temperature above 175°C?
1. Filtration
2. Autoclaving
3. Dry heat sterilization
4. Soakig in 2% glutaraldehyde

Correct answer: 2. Autoclaving